Friedlanders bacillus also known as:
1. E. coli Pattern
2. Pseudomonas aeruginosa
3. Klebsiella pneumoniae
4. Vibrio parahemolyticus

Correct answer: 3. Klebsiella pneumoniae

Explanation: Ans. is 'c' i.e., Klebsiella pneumoniae(Ref: Ananthanarayan, 9th/e, p. 280 and 8th/e, p. 278)"Klebsiella pneumoniae is also known as Friedlander's bacillus or Bacillus mucosus capsulatus."(Karl Friedlander, 1847-1887, German bacteriologist) - who helped discover the bacterial cause of pneumonia in 1882.